Absolute contraindications for the IUCD users includes all of the following except:
1. Undiagnosed vaginal bleeding
2. Suspected pregnancy
3. HIV infected women
4. PID

Correct answer: 3. HIV infected women

Explanation: Intrauterine contraception is appropriate for HIV affected women. Intrauterine contraceptive devices (IUCDs) are placed in the uterine cavity with the objective of providing long-term contraception, mainly by preventing fertilization. Contraindications for IUCD: Suspected pregnancy Pelvic inflammatory disease (PID), lower genital tract infection Presence of fibroids because of misfit. Menorrhagia and dysmenorrhoea, if copper T is used. Severe anaemia Diabetic women who are not well controlled-because of slight increase in pelvic infection Scarred uterus Complications of IUCD: During the first 3 months after insertion, the risk of pelvic infection is slightly higher. Mentrual bleeding is often heavier in women with copper IUDs and is associated with dysmenorrhoea. The levonorgestrel IUD also has hormonal adverse effects such as headache, acne, breast tension and functional ovarian cysts. Amenorrhoea occurs in 35% of women after 2 years of use. Ref: Shaw's textbook of Gynaecology 17th edition Pgno: 260